Byssinosis is due to exposure of ?
1. Coal dust
2. Cotton dust
3. Sugarcane dust
4. Silica

Correct answer: 2. Cotton dust

Explanation: Ans. is 'b' i.e., Cotton dust Byssinosis is due to exposure to cotton dust in textile industries.